Tetanus toxin act by
1. Blocking gamma motor neurons
2. Blocking muscle end plate receptor
3. Blocking Ach release
4. Presynaptic blocking

Correct answer: 4. Presynaptic blocking

Explanation: The tetanus toxin specifically blocks synaptic inhibition in the spinal cord, presumably at inhibitory terminals that use glycine and GABA as neurotransmitters. The toxin acts pre-synaptically. The abolition of spinal inhibition causes uncontrolled spread pf impulses initiated anywhere in the central nervous system. This results in muscle rigidity and spasms due to the simultaneous contraction of agonists and antagonists, in the absence of reciprocal inhibition. Reference: Textbook of Microbiology; Anathanarayan and paniker's; 10th edition; Page no: 265